Which of the following is the drug of choice for opioid overdose
1. Clonidine
2. Naloxone
3. Buprenorphine
4. Flumazenil

Correct answer: 2. Naloxone

Explanation: Naloxone is a central opioid antagonist given intravenously in opioid drug poisoning.